Most suitable method of treating 4 inch size episiotomy hematoma is by :
1. Evacuation
2. Magsulf compression
3. Cold compress
4. Marsupialisation

Correct answer: 1. Evacuation

Explanation: Evacuation